A patient Parul gives you the history that she has missed a single dose of her combined oral contraceptive pill. Which of the following will you advise her?
1. Continue with the course without regard to the missed dose
2. Take 2 pills the next day and continue with the course
3. Take 2 pills everyday for the remaining part of the course
4. Discontinue the course and use alternative method of contraception

Correct answer: 2. Take 2 pills the next day and continue with the course

Explanation: * If a woman misses one pill of OCP, she should take 2 pills next day and then continue one pill a day as usual. * If the pills have been missed for 2-3 days, then the course should be stopped-->mechanical barriers (like condom) should be used and the next course should start from next menstrual cycle.